All of the following muscles of the shoulder girdle helps in abduction of the upper limb, EXCEPT:
1. Deltoid
2. Supraspinatus
3. Latissimus dorsi
4. Long head of biceps brachii

Correct answer: 3. Latissimus dorsi

Explanation: Latissimus dorsi helps in adduction of the upper limb. Muscles involved in abduction of the upper limb are:DeltoidSupraspinatusLong head of biceps brachiiSerratus anterior and trapezius helps in this movement by producing slight rotation of the scapula.Adductors of the upper limb are:Teres majorLatissimus dorsiPectoralis majorLong head of the triceps brachiiShort head of the biceps brachiiClavicular and spinal parts of the deltoidRef: Color Atlas of Human Anatomy, Volume 1 By Werner Platzerpage 148.